Following genetic counseling in a family for Familial polyposis coli for a 15 year old person, APC gene mutation is present. Next step of screening is
1. colonoscopy from now
2. Colonoscopy from 10 years before the detection of Ca. In family
3. Occult blood in stools every year till 30 years.
4. CECT + colonoscopy

Correct answer: 1. colonoscopy from now

Explanation: If APC gene mutation is present colonoscopy done from 10 years of age.